Which of the cephalometric parameter is used to diagnose a long face syndrome patient?
1. ANB angle
2. SNA angle
3. Jaraback ratio
4. Saddle angle

Correct answer: 3. Jaraback ratio